All the statement related to neutrophil extracellular traps (NET) are true except:
1. NET is an example of beneficial suicide for the neutrophil
2. Provide low concentration of antimicrobial at the site of infection
3. It is extracellular fibrillary network
4. It can be associated with increased risk of autoimmune disease

Correct answer: 2. Provide low concentration of antimicrobial at the site of infection

Explanation: Neutrophil extracellular traps (NETs) are extracellular fibrillar networks that provide a high concentration of antimicrobial substances at sites of infection and prevent the spread of the microbes by trapping them in the fibrils. They are produced by neutrophils in response to infectious pathogens (mainly bacteria and fungi) and inflammatory mediators (e.g., chemokines, cytokines , complement proteins, and ROS). In the process of NET formation, the nuclei of the neutrophils are lost, leading to death of the cells. NETs have also been detected in the blood during sepsis